First line t/t for keloid is-
1. Intralesional injection of steroid
2. Local steroid
3. Radiotherapy
4. Wide excision

Correct answer: 1. Intralesional injection of steroid

Explanation: Intralesional injection of steroid (Triamcinolone acetate) is now recommended as the first line of t/t for keloids 
Intralesional injection of Triamcinolone is also the t/t of choice for intractable hypertrophic scars. Success is enhanced when it is combined with surgical excision 
Other modalities of t/t used for keloids are:

a) Surgery

surgical excision alone leads to a high recurrance rate.
there are fewer recurrances when surgical excision is combined with other modalities such as intralesional corticosteroid injection, topical application of silicone sheets or the use of radiation or pressure.
surgery is recommended for debulking large lesions.

b) Radiation therapy

it may produce unpredictable results and has obvious potential side effects including neoplastic degeneration; and has high recurrance rate when used alone.


Silicone sheet application
Pressure application
Topical retinoids